Lichen simplex chronicus, not true is
1. Presents with demarcated lichenified skin plaque
2. Commonly affects the trunk and groin
3. Represents end stage of eczematous skin diseases
4. Glucocorticoids are mainstay of treatment

Correct answer: 2. Commonly affects the trunk and groin

Explanation: Lichen simplex chronicus Represents end stage of variety of pruritic and eczematous disorders, including Atopic Dermatitis. It consists of a circumscribed/ demarcated plaque of lichenified skin due to chronic scratching or rubbing. Common areas involved include the posterior nuchal region, dorsum of feet and ankles. Treatment :centers on breaking the cycle of chronic itching and scratching. High-potency topical glucocorticoids , But in recalcitrant cases, application of topical glucocorticoids under occlusion, or intralesional injection of glucocorticoids is required.